Herpangina is caused by ?
1. Enterovirus
2. Rhinoviruses
3. Myxovirus
4. Rabies virus

Correct answer: 1. Enterovirus

Explanation: Ans. is 'a' i.e., Enterovirus